Chance of affected child to Autosomal recessive carrier parents is ?
1. 10%
2. 15%
3. 25%
4. 50%

Correct answer: 3. 25%

Explanation: ANSWER: (C) 25%REF: BRS Genetics by Ronald W. Dude page 31-33In autosomal recessive condition the risk of having an affected child when both parents are carriers is 25%, and the chance of having a child who is a carrier is 50%.GENETIC RISK ASSESSMENT IN AUTOSOMAL RECESSIVE INHERITANCE:The genetic risk associated with Autosomal recessive disorder is as followsAffected mother, normal fatherMother -AA| FatheraAaAaaAaAaConclusion: 100% carrier childCarrier mother, normal fatherMother -Aa| FatheraAaaaaAaaaConclusion: 50% carrier, 50% normal childCarrier mother, Carrier fatherMother -Aa| FatherAAAAaaAaaaConclusion: 25% affected, 50% carrier, 25% normal childCarrier mother, affected fatherMother -Aa| FatherAAAAaAAAAaConclusion: 50% affected, 50% carrier childNormal mother, affected fatherMother -aa| FatherAAaAaAAaAaConclusion: 100% carrier childAffected mother, affected fatherMother -AA| FatherAAAAAAAAAAConclusion: 100% affected child